In juvenile myoclonic epilepsy (JME), which is the most common presentation?
1. GTCS during sleep
2. GTCS on awake state
3. Myoclonus
4. Absence seizures

Correct answer: 3. Myoclonus

Explanation: Juvenile myoclonic epilepsy (JANZ syndrome) - Polygenetic inheritance, Strong family history - Onset: 10 -19 yrs. - Myoclonic Jerk (early morning) and prominent in morning after awakening. Consciousness is preserved unless severe - EEG: 4-6 Hz Polyspike pattern seen. - May develop GTCS in future and in 30% will also develop absence seizure in future Rx - Valproate (lifelong)